Man is a definitive host for -
1. Echinococcos
2. Malaria
3. Filariasis
4. Rabies

Correct answer: 3. Filariasis

Explanation: Ans. is 'c ' i.e., Filariasis